Which of the following disease has an incubation period of less than 1 week:
1. Measles
2. Cholera
3. Mumps
4. Pertussis

Correct answer: 2. Cholera

Explanation: Ans. B: Cholera Measles- 10 days from the onset of fever and 14 days to appearance of rash. Cholera: few hours upto 5 days, but commonly 1-2 days Mumps: 2-3 weeks (usually 18 days) Pertussis: usually 7-14 days, but not more than 3 weeks